All are true regarding Fronto-temporal dementia except:
1. Stereotypic behavior
2. Insight present
3. Age less than 65 years
4. Affective symptoms

Correct answer: 2. Insight present

Explanation: Ans. b. Insight present (Ref Kaplan and Sadocks 9/e p1194-1198; Harrison 19/e p2602, 18/e p3309-3311) Fronto-Temporal Dementia:Insight is absent in Fronto-temporal dementia.FTD often begins in the 5'hto 7th decades.Patients with FTD often show an absence of insight into their condition.Common behavioral features include apathy, disinhibition, weight gain, food fetishes, compulsions, and emotional distance or loss of empathy.Fronto-Temporal DementiaFTD often begins in the 5' to 7' decades')More common in menuUnlike in Alzheimer's disease (AD), behavioral symptoms predominate in the early stages of FTDdegFamily history of dementia is commondeg MC autosomal dominantly inherited mutations causing FTD involve the MAPT or GRN genes, both on chromosome 17.Clinical features:Early symptoms are divided among behavioral, language, and sometimes motor abnormalities, reflecting degeneration of the anterior insular, frontal, and temporal regions, basal ganglia, and motor neurons.Cognitive testing typically reveals spared memory but impaired planning, judgment, or languagedeg.Poor business decisions and difficulty organizing work tasks are common, and speech and language deficits often emerge.Patients with FTD often show an absence of insight into their condition.Common behavioral features include apathy, disinhibition, weight gain, food fetishes, compulsions, and emotional distance or loss of empathy.Diagnosis:Distinguishing anatomic hallmark of FTD: Focal atrophy of frontal, insular, and/or temporal cortex, which can be visualized with neuroimaging studies (MRI)deg Microscopic findings seen across all patients with FTD include gliosis, microvacuolation, and neuronal lossdeg